5 year old child bed wetting Rx of choice ?
1. No treatment
2. Imipramin
3. Desmopressin
4. Motivational therapy

Correct answer: 1. No treatment

Explanation: Ans. is 'a' i.e., No treatment o No treatment is given to children below 6 years of age because of high spontaneous cure rate. o After 6 years treatment include. t) Behavioral therapy : This is the treatment of choice. it) Pharmacological treatment : It is used when non-pharmacological (behavioral) therapy fails. Desmopressin is the drug of choice. Other drugs used are impramine and oxybutinin.